Order of the following structures of fallopian tube from lateral to medial
1. Ampulla-Infundibulum-Isthmus-Interstitial
2. Infundibulum-Ampulla-Isthmus-Interstitial
3. Isthmus-Infundibulum-Ampulla-Interstitial
4. Ampulla-Isthmus-Infundibulum-Interstitial

Correct answer: 2. Infundibulum-Ampulla-Isthmus-Interstitial

Explanation: Different segments are (lateral to medial): the infundibulum with its associated fimbriae near the ovary, the ampullary region that represents the major portion of the lateral tube, the isthmus which is the narrower part of the tube that links to the uterus, and the interstitial part that transverses the uterine musculature. The ostium is the point where the tubal canal meets the peritoneal cavity, while the uterine opening of the Fallopian tube is the entrance into the uterine cavity, the uterotubal junction. ref - BDC 6e vol2 pg385